All the statement about lactoferrin are true,except-
1. It is present in secondary granules of neutrophil
2. It is present in exocrine secretions of body
3. It has great affinity for iron
4. It transports iron for erythropoiesis

Correct answer: 4. It transports iron for erythropoiesis

Explanation: Transport of iron for erythropoiesis is done by transferrin and not by Lactoferrin
Lactoferrin

It is an iron-binding protein and has a high affinity for iron
Lactoferrin is found in -

(a) Specific/secondary granules in neutrophils.
(b) Many exocrine secretions and exudates - milk, tears, mucus, saliva, bile etc.

It apparently exerts an antimicrobial activity by withholding iron from ingested bacteria and fungi.